Which of the following lesions is not a common cause for vegetation formation in the heart ?
1. AS
2. MS
3. MR
4. ASD

Correct answer: 4. ASD

Explanation: There is low flow and turbulence in ASD, so risk of vegetation formation and infective endocarditis is low.